All of the foramens are found in sphenoid bone except:
1. Foramen rotundum
2. Foramen lacerum
3. Optic canal
4. Foramen ovale

Correct answer: 2. Foramen lacerum